The visual pathway consists of all of these except -a) Optic tractb) Geniculocalcarine tractc) Inferior colliculusd) Lateral geniculate bodye) Pretectal region
1. a
2. b
3. ac
4. ce

Correct answer: 4. ce

Explanation: The visual pathway starting from retina consists of optic nerve, optic chiasma, optic tracts, lateral geniculate bodies, optic radiations (geniculocalcarine pathway), the visual cortex, in that sequence.
It should also be kept in mind that some fibres from optic radiation go to -


Superior colliculus → involved in visual reflexes
Pretectal nucleus → involved in visual reflexes
Suprachiasmatic nucleus concerned with circadian rhythms


However, these structures are not part of visual pathway, which is mainly concerned with the vision.